Which dissacharies are not broken down in git ?
1. Lactulose
2. Maltose
3. Sucrose
4. Lactose

Correct answer: 1. Lactulose

Explanation: Ans. is 'a' i.e., Lactulose